Purple lining over gums is seen in which chronic poisoning:
1. Magnesium
2. Lead
3. Copper
4. Mercury

Correct answer: 3. Copper

Explanation: C i.e. Copper